Telenzepine acts on which receptors?
1. M2
2. M1
3. M3
4. Nm

Correct answer: 2. M1

Explanation: Pirenzepine and telenzepine are selective m1 blockers used in peptic ulcer by inhibiting acid secretion are synthetic atropine substitutes Ref: KDT 6th ed pg 113